Naltrexone is used for:
1. Cocaine
2. Alcohol dependence
3. Anorexia
4. Cannabis toxicity

Correct answer: 2. Alcohol dependence

Explanation: Ans. B. Alcohol dependenceExplanationNaltrexone is a opioid receptor antagonist used to reduce or eliminate the subjective high associated with consumption of opioid and alcohol.It is approved by US FDA for alcohol dependence and for blockade of effects of exogenously administered opioids.